All of the following may lead to plaque formation except –
1. Psoriasis
2. Lichen planus
3. Pityriasis rosea
4. Pemphigus

Correct answer: 4. Pemphigus

Explanation: Papulosquamous disorder results in papules or plaque.